Bacterial species seen in skin -
1. Lactobacillus
2. Streptococcus pneumonia
3. Bacterioides fragilis
4. Propionobacterium

Correct answer: 4. Propionobacterium

Explanation: Ans. is *d' i.e., Propionobacterium Colonization of bacteriao Colonization is the multiplication of microorganism on or within the host that does not result in cellular injury,o However, microorganisms that are colonized on a host may be potential source of infection especially if host susceptibility declines or microorganisms virulence increases,o Microorganisms residing on human body as normal flora are of two types : -Resident flora# Resident flora are the microorganisms that are always present, usually without altering the client's health.Transient flora# Transient flora are episodic organisms, they present for a brief period but do not continually live on/in human body.Common natural flora at various site of body ResidentTransient floraSkinCorynebacterium, Micrococcus, Coagulase negative staphylococci. Propionobacterium, Pityrosporrum, Demodex follicularumStaph aureus, viridans streptococci group A streptococci, Enterococcus Malassezia, E.coli, Proteus, Klebsiella, Candida, Trichophyton.Mouth & oropharvnxStr. vindans, Coagulase negative staph., Hemophillus, Peptostreptococci, Bacteriodes, Prevotella, Vellionella, non-men ingococcal neisseria. Fusobaclerium, ActinomycesGroup A Streptococcus, Lactobacillus N. meningitidis, Candida. CMV. HSV, Moraxella, Eikenella corrodens.Nose & NasopharynxCoagulase negative staph.. Corynebacterium, Strep, viridansNon-meningococcal & Meningococcal neisseria, Staph aureus, Str. pneumoniae, MorexellaVaginaLactobacillus, Streptococcus, Prevotella, Coagulase negative staphylococci, Gard. vaginalis, ActinomycesCandida, Trichomonas vaginalis, Group B streptococci, Enterococcus.EyeCoagulase negative staph. Micrococci, Hemophillus, CorynebacteriumBacillus, Strep viridans, Propionobac- terium, Staph aureus, str. pneumoniaeStomach Streptococci, Lactobacillus, H. PyloriSmall intestineLactobacillus, Streptococcus, Vellionella, Prevotella, Porphyromonas, Bifidobacter Bacteroides, Clostridium, EnterobacteriaceaseCandida, Entamoeba coti, E.Nana, Trichomonas Hominis, Blastocystis hominisLarge intestineBifidobactor, Peptostreptococci, Enterococcus Lactobacillus, Vellionella, Eubacterium, Fusobacterium, Prevotella, Porphyromonas, Bacteroides, Clostridium, EnterobacteriaceaeCandida, Corynebacterium, Pseudo- monas, MAC, Entamoeba coli, E.nana, Trichomonas Hominis, Enterovirus, Blastocystis hominisUrethraCorynebacterium, Strept viridans, Coagulase negative staph, LactobacillusM. smegmetis. Enterococcus, Mycoplasma, Neoptasma, Bacteroides, Fusobacterium